Positive urinary anion gap is found in-
1. Alcholic ketoacidosis
2. Diabetic ketoacidosis
3. Renal tubular acidosis
4. Diarrhea

Correct answer: 3. Renal tubular acidosis

Explanation: Urinary anion gap : used to differentiate GIT causes from Renal causes. UAG= Urine anions - urine cations =( HCO3-) - (NH4+) NORMAL = 0 In GIT cause : NEGATIVE In Renal cause : POSITIVE Ref: Harrison's 19thE